The specialized type of microscope, which enables quantitative measurement of the chemical constituents of cells, is the -
1. Optical microscope
2. Interference microscope
3. Phase contrast microscope
4. Polarized microscope

Correct answer: 2. Interference microscope

Explanation: Option Microscope Features Option 1 Optical microscope Referred to as the light microscope, Different types of light microscopy Bright-field microscopy Dark-ground microscopy Phase contrast microscopy Interference microscopy Option 2 Interference microscopy Examine a living cell's biophysical properties Stiffness, Time-dependent deformability Mass Does not require labeling with fluorescent proteins or optically active dyes Both cultured cell lines and material derived from whole organisms can be used. Option 3 Phase Contrast Microscope: Used to visualize the living cells by creating difference in contrast between the cells and water. Converts slight differences in refractive index and cell density into easily detectable variations in light intensity. It is useful for studying: Microbial motility Determining the shape of living cells Detecting bacterial components such as endospores and inclusion bodies. Option 4 Polarized microscopy Used in the field of geology for the study of rocks and minerals.